The following diagnostic tests are useful for corresponding purposes, EXCEPT:
1. Ziehl -Neelsen staining - Detection of mycobacteria
2. Immunofluorescence - Detection of Influenza virus
3. Specific IgM antibodies - Immunity against Rubella
4. Specific IgM antibodies - Detection of acute infection

Correct answer: 3. Specific IgM antibodies - Immunity against Rubella

Explanation: Ziehl Neelsen is used for Mycobacterial detection. Rapid diagnosis of influenza is made by demonstration of viral antigen on the surface of nasopharyngeal cells by immunofluorescence. IgM antibodies are antibodies of primary response so it indicates acute/recent infection. Its production signify that immune response of individual is proper but does not mean that person has immunity against infection. Ref: Harrison's Principles of Internal Medicine, 18th Edition, Chapter 193